Lamina densa contains:
1. Type 1 collagen.
2. Type 2 collagen.
3. Type 4 collagen.
4. Type 6 collagen.

Correct answer: 3. Type 4 collagen.